Examination of arrested person by medical practitioner at the request of the arrested person. Is defined under which section of the Code Of Criminal Procedure
1. Section 53
2. Section 54
3. Section 56
4. Section 57

Correct answer: 2. Section 54

Explanation: Section 54 in The Code Of Criminal Procedure, 1973 54. Examination of arrested person by medical practitioner at the request of the arrested person. When a person who is arrested, whether on a charge or otherwise alleges, at the time when he is produced before a Magistrate or at any time during the period of his detention in custody that the examination of his body will afford evidence which will disprove the commission by him of any offence or which will establish the commission by any other person of any offence against his body, the Magistrate shall, if requested by the arrested person so to do direct the examination of the body of such person by a registered medical practitioner unless the Magistrate considers that the request is made for the purpose of vexation or delay or for defeating the ends of justice. CrPC 53: Section 53 of the Criminal Procedure Code Examination of accused by medical practitioner at the request of police officer I.P.C. 82. < 7 years : Not liable 83. 7-12 years : Liable/Not liable (Depends on mental maturity) 84. Mental ill person : Not liable 85. Involuntary intoxication : Not liable 86. Voluntary intoxication : Liable 87. A child below the age of 18 years can not give consent for an act not intended and not known to be likely to cause death or grievous hurt, e.g.- For surgical procedure. 89. A child below the age of 12 years can not give consent even for general physical examination; parent or guardian has to consent. *That means a child between the age of 12 and 18 can give consent only for general physical examination (Not for PV/PR) 90. Invalid consent 92. In emergency : Consent is not required 88. Act not intended to cause death, done by consent in good faith for person's benefit 93. Communication made in good faith (E.g.- A surgeon, in good faith, communicates to a patient his opinion that he cannot live. The patient dies in consequence of the shock. A has committed no offence, though he knew it to be likely that the communication might cause the patient's death. 290. Public nuisance (Frotteurism) 294. Obscene acts (Exhibitionism) 297. Indignity to human corpse (Necrophilia, Necrophagia, Embalming without consent, etc.) 354. Indecent assault (Outrage the modesty of a girl) 354A. Sexual harassment 354B. Disrobe 354C. Voyeurism 354D. Stalking 497. Adultery 375. Rape - Definition 376. Rape - Punishment (10 years - Life imprisonment) Custodial Rape (10 years - Life imprisonment) 376A. Rape resulting in Death or PVS (20 y - Death sentence) 376B. Sexual Intercourse by husband during separation (2 - 7 y) (Without her consent and on her complaint) 376C. Sexual Intercourse by a person in authority (5 - 10 Y) (Induces or seduces a woman to has sexual intercourse not amounting to Rape) 376D. Gang Rape (20 y - Life imprisonment) 376E. Repeat offenders (Life imprisonment - Death sentence) (Already convicted under Sec. 376/376A/376D) 377. Unnatural sexual offences (Up to life imprisonment) 509. Word, gesture or act intended to insult the modesty of a woman 304B. Dowry Death (7 y - Life imprisonment) 498A. Dowry harassment 317. Abandonment of child under 12 years by parent/guardian 318. Concealment of birth by secret disposal of dead body 312. Causing miscarriage (with consent) 313. Causing miscarriage without consent 314. Death of mother due to miscarriage 315. Preventing the child being born alive or to cause it to die after Birth 316. Causing death of quick unborn child by act amounting to culpable homicide. 166B. Non Treatment of victim of Rape 172. Absconding to avoid service of summons 174. Non-attendance to an order from public servant (summons) 176. Omission to give information to public servant 177. Furnishing false information 191. Giving false evidence (Perjury - definition) 192. Fabricating false evidence 193. Punishment for false evidence (Perjury) 197. Issuing or signing false certificate 201. Causing disappearance of evidence 202. Intentional omission to give information 204. Destruction of document or electronic record 269. Negligent act likely to spread infection/disease dangerous to life 270. Malignant act likely to spread infection/disease dangerous to life 299. Culpable homicide 300. Murder (Culpable homicide not amounting to murder is also defined under this section) 302. Punishment for murder 304. Punishment for Culpable homicide not amounting to murder 307.Attempt to murder 308. Attempt to commit culpable homicide 334. Voluntarily causing hurt on provocation (Up to 1 month imprisonment/Up to Rs.500 fine/Both) 335. Voluntarily causing grievous hurt on provocation (Up to 4 y imprisonment/Up to Rs.2,000 fine/Both) 326A. Voluntarily causing grievous hurt by use of acid (10 y - Life imp) 326B. Voluntarily throwing or attempting to throw acid (5-7 y) 319. Hurt 320. Grievous Hurt 324. Voluntarily causing hurt by dangerous weapons/means 326. Voluntarily causing grievous hurt by dangerous weapons/means 304A. Causing death by rash and negligent act 336. Endangering life by rash and negligent act 337. Causing hurt by rash and negligent act 338. Causing grievous hurt by rash and negligent act 351. Assault (Technically, operation without consent amounts to assault) 510. Misconduct in public by a drunken person 45. Life: The word "life" denotes the life of a human being 46. Death: The word "death" denotes the death of a human being 51. Oath/Solemn affirmation 228A. Punishment for disclosure of identity of the victim of Rape Criminal Procedure Code 39. Duty to give information 53(1). Examination of an accused (arrested person) by medical practitioner at the request of police officer not below the rank of S.I. of police (Doctor can examine even without consent). 53(2). Examination of a accused female by female medical practitioner 53 A. Examination of person accused of rape by medical practitioner 54. Examination of arrested person by medical practitioner at the request of the arrested person. 164A. Examination of the victim of Rape (Protocol) 174. Police inquest 176. Magistrate inquest 327. In camera trial 357C. All hospitals should give free first aid treatment to victims of rape and should inform the police. 416. Commutation of capital sentence on pregnant woman